A 60-year-old lady has 4cm breast mass with ipsilateral infraclavicular lymph nodes. What is the stage?
1. T2N2
2. T2N3
3. T3N2
4. T3N3

Correct answer: 2. T2N3

Explanation: T1<= 2cm T2>2 cm but <= 5cmT3> 5cmT4aExtension to the chest wall (invasion of pectoralis only is not extension to chest wall)T4bSkin involvement (including peau d'orange) that doesn't meet criteria of skin involvementT4cBoth T4a and T4b are presentT4dInflammatory carcinomaN1Movable ipsilateral Level I, Level II axillary lymph nodesN2aFixed or matted ipsilateral Level I, Level II axillary lymph nodesN2Ipsilateral internal mammary nodes in the absence of axillary lymph node involvementN3aIpsilateral infraclavicular lymph nodes (Level III axillary nodes)N3bIpsilateral internal mammary nodes with Level I, Level II axillary lymph nodesN3cIpsilateral supraclavicular lymph nodesRef: AJCC 8th edition